Tinea ungium affects:
1. Nail fold
2. Nail plate
3. Joints
4. Interdigital space

Correct answer: 2. Nail plate

Explanation: Tinea unguium is clinically defined as dermatophytic infection of the nail plate. Dermatophytic Skin Disease Location Of Lesions Tinea corporis Nonhairy, smooth skin. Tinea pedis (athlete's foot) Interdigital spaces on feet of persons wearing shoes. Tinea cruris (jock itch) Groin. Tinea capitis Scalp hair. Tinea barbae Beard hair (Note -Sycosis barbae is folliculitis of beard hair caused by Staphylococcus) Tinea unguium Nail Tinea Manuum Hand